Port-wine stain is associated with:
1. Proteus syndrome
2. Sturge-Weber syndrome
3. Klippel-Trenaunay-Weber syndrome
4. All of the above

Correct answer: 4. All of the above

Explanation: Port-wine stain (PWS) is associated with several syndromes: Sturge-Weber syndrome: PWS affecting trigeminal dermatomes Klippel-Trenaunay-Weber syndrome:PWS on a limb with associated bone and soft tissue hypertrophy and lateral varicose veins when the lower limb is involved. Proteus syndrome: PWS and regional gigantism in association with lymphatic (lymphaticovenous) malformation.